Resistance to drugs in Tuberculosis develops by -
1. Transduction
2. Conjugution
3. Transformation
4. Mutation

Correct answer: 4. Mutation

Explanation: Ans. is 'd' i.e., Mutation o The most common mechanism of antitubercular drugs resistance is by mutation - INH --> Catalase - peroxidase gene (Kat G) or inh A gene. Rifampin --> rpo B gene PZA --> pnc A gene ETB --> emb B gene Streptomycin --> 16 S rRNA gene (rrs) or ribosomal protein S-12 gene (rpst).